All are true regarding hyper IgE syndrome except
1. Inheritance is as a single locus autosomal dominant trait with variable Expression
2. Coarse facial features
3. Recurrent staphylococcus abscess involving skin ,lungs
4. High IgE with low IgG ,IgA,and IgM

Correct answer: 4. High IgE with low IgG ,IgA,and IgM

Explanation: Ref Robbins 9/e p242 , Harrison 17/e p384;2061;2056;381 Hyper IgE Syndrome (HIES) is a rare primary immunodeficiency disease characterized by eczema, recurrent staphylococcal skin abscesses, recurrent lung infections, eosinophilia (a high number of eosinophils in the blood) and high serum levels of IgE But normal IgG ,IgM,IgA